Number of vertebrae in vertebral column ?
1. 25
2. 27
3. 29
4. 33

Correct answer: 4. 33

Explanation: Ans. is 'd' i.e., 33 The back extends from skull to tip of coccyx and includes posterior surface of neck and trunk. Present in the dorsal (posterior) midline is the vertebral column forming the central bony pillar of the body. The vertebral column (spinal column) is composed of 33 vertebrae : - 7 cervical, 12 thoracic, 5 lumbar, 5 sacral (fused to form sacrum) and 4 coccygeal (fused to form coccyx).